Maximum dose of lignocaine given with adrenaline for infiltration anaesthesia is:
1. 3 mg/kg
2. 5 mg/kg
3. 7 mg/kg
4. 10mg/kg

Correct answer: 3. 7 mg/kg

Explanation: KD Tripathi essentials of medical pharmacology; edition7 ;pgs no-368 Dilute solutions or LA is infiltrated under the skin in the areas of operation-blocks sensory nerve endings.onset of action is almost immediate and duration is shorter than that after nerve block, e.g.lidocaine 30-60 min, bupivacaine 120-180 min. Infiltration is used for minor operations, e.g. incisions,excisions, hydrocele, herniorrhaphy, etc. when the area to be anaesthetized is small. Relatively large amount of LA is required compared to the area anaesthetised, but motor function is not affected